Hyperkalemia is caused by:
1. N2O
2. Atracurium
3. Succinyl choline
4. Pancuronium

Correct answer: 3. Succinyl choline

Explanation: (Refer: Miller’s, Clinical Anaesthesia, 7th edition, pg no: 2373-2383)
Systemic effects of Succinyl choline

Cardiovascular system - Profound bradycardia
Hyperkalemia - Due to excessive muscle fasciculations.
CNS - Increases intracranial tension.
Eye - Increases intraocular tension.
GIT - Increases intragastric pressure, increases salivation,gastric secretions and peristalsis.
Muscle pains - Due to excessive muscle contractions.
Malignant hyperthermia-SCh is the most common drugcausing this.
Anaphylaxis.
Masseter spasm.